The haemoglobin cut-off level for determining prevalence of anemia among pregnant women is –
1. Less than 15g/dL
2. Less than 13 g/dL
3. Less than 11 g/dL
4. Less than 19 g/dL

Correct answer: 3. Less than 11 g/dL